Percentage of surface area of palm of a burn patient:
1. 1%
2. 9%
3. 18%
4. 27%

Correct answer: 1. 1%

Explanation: Ans. 1%